True statement about Vi polysaccharide vaccine is?
1. Has many serious systemic adverse reactions
2. Has many serious local side effects
3. Has many contraindications
4. Can be administered with yell ow fever and hepatitis A vaccine

Correct answer: 4. Can be administered with yell ow fever and hepatitis A vaccine

Explanation: Ans. is 'd' i.e., Can be administered with yellow fever and hepatitis A vaccine The Vi polysaccharide vaccine can be co-administered with other vaccines relevant for international travelers such as yellow fever and hepatitis A and with vaccines of the routine childhood immunization programs- Park o Vi polysaccharide has no serious systemic adverse effects and a minimum of local side effects are associated with it. o There is no contraindication for Vipolysaccharide vaccine except for severe hypersensitivity reaction in previous vaccine infection.